Fetal anemia is seen in:
1. Early deceleration
2. Late deceleration
3. Variable deceleration
4. Sinusoidal pattern

Correct answer: 4. Sinusoidal pattern

Explanation: Sinusoidal pattern